Which of the following OCD carries worst prognosis to treatment?
1. Pathological doubt
2. Contamination
3. Hoarding disorder
4. Obsessive thought disorder

Correct answer: 3. Hoarding disorder

Explanation: Hoarding disorder is characterized by acquiring and accumulating useless things attaching them with emotional importance.
Exposure and response prevention which is a standard treatment for OCD, is often found ineffective and hence it carries worst prognosis.